Drug of choice in motion sickness:
1. Hyoscine
2. Domperidone
3. Promethazine
4. Metaclopromide

Correct answer: 1. Hyoscine

Explanation: Ans: a (Hyoscine) Ref: Pharmacology, KDT, 6th ed, p. 113Hyoscine is the drug of choice in motion sickness.HyoscineIt is an anti cholinergic drug. It is a natural alkaloid similar to atropine. Hyoscine is the most effective drug for motion sickness and is particularly valuable in highly susceptible individuals and for vigorous motions.The drug is given prophylactically as a transdermal patch. Atransdermal preparation applied behind the pinna 4 hours before the journey has been shown to protect for 3 days. Hyoscine is not effective in other types of vomiting.NoteIn contrast to atropine does not cause tachycardia.Glycopyrrolate has no CNS action, but atropine has CNS action.Atropine at low dose is CNS stimulant and hyoscine at low dose is a CNS depressant.